Which of the following is the earliest manifestation of retinal detachment:
1. Feeling of curtain obscuring their field of vision
2. Floaters
3. Photopsia
4. Fall in visual acuity

Correct answer: 3. Photopsia

Explanation: Ans. C: Photopsia Symptoms of a shallow retinal detachment may be non-specific in the initial stages. Transient flashing lights (photopsia) in a particular part of the visual field, due to slight traction of the retina which irritates the neuro-epithelium, may be the initial symptom. Once retina breaks, there is release of pigment or a small hemorrhage which manifests as 'floaters' or small moving spots in the patients visual field. These float in the vitreous and cast a shadow on the retina (muscae volitantes).